PML is caused by-
1. CMV
2. Papova virus
3. HIV
4. Polio virus

Correct answer: 2. Papova virus

Explanation: JC virus, which is a polyomavirus belonging to Papovaviridae family, causes progressive multifocal leucoencephalopathy (PML).